The best skin disinfectant is -
1. Alcohol
2. Savlon
3. iodine
4. Phenol

Correct answer: 3. iodine

Explanation: Iodine in an aqeous and alchoholic solution has been widely used as skin disinfectant. it is actively bactericidal with moderate action against spores REF:Ananthanarayan and Panicker's Textbook ofMicrobiology 8thEdition pg no:36